States, where crude birth rate is higher than the national level
1. West Bengal
2. Maharashtra
3. Rajasthan
4. Andhra Pradesh

Correct answer: 3. Rajasthan

Explanation: The crude birth rate of India in 2012 is 21.6 The crude birth rate of Rajasthan is 25.9, West Bengal is 16.1, Andhra Pradesh is 17.5 and Maharashtra is 16.6 in the year 2012. Reference : Park's textbook of preventive and social medicine, 23rd edition, pg no:490, figure 5